Which of the following statements is true regarding Arbo-viruses?
1. Yellow fever is endemic in India
2. Kyasanur forest disease is transmitted by ticks
3. Mosquito of culex visnoi complex is the vector of dengue fever
4. Dengue virus has only one serotype

Correct answer: 2. Kyasanur forest disease is transmitted by ticks

Explanation: Discussing options one by one: Option-1 - False - Yellow fever is not present in India. Option-2 - True - Kyasanur forest disease is transmitted by ticks. In india: hard tick. Outside India: soft ticks. Option-3 - Flase - Aedes aegypti mosquito is the vector of dengue fever; Culex is vector of JE. Option- 4 - False - Dengue virus has four serotypes. There is no lifelong immunity against dengue.